After 72 hours of Myocardial infarction, the predominant cells are
1. Mast cells
2. Macrophages
3. Lymphocytes
4. Leukocytes

Correct answer: 2. Macrophages